In hypospadias all are seen except -
1. Hooded penis
2. Dorsal chordee
3. Spatulated glans
4. Meatal stenosis

Correct answer: 2. Dorsal chordee

Explanation: Ventral chordee is seen in hypospadias
Dorsal chordee is a feature of epispadias